A patient with anterior wall MI was thrombolysed within 6 hours of presentation with STK. On day 3 he had a fever with chills and platelet count of 60,000. Which of the following is responsible for this presentation?
1. Aspirin
2. Ranolazine
3. STK
4. Clopidogrel

Correct answer: 4. Clopidogrel

Explanation: Thrombocytopenia is a rare but dangerous adverse effect of clopidogrel, encompassing Thrombotic Thrombocytopenic Purpura (TTP), isolated thrombocytopenia and autoimmune thrombocytopenia